Granules in the Corynebacterium diphtheria are called by following names, except
1. Metachromatic granules
2. Retractile granules
3. Babes Ernst granules
4. Volutin granules

Correct answer: 2. Retractile granules